Antral puncture is done through:
1. Superior meatus
2. Inferior meatus
3. Middle meatus
4. All

Correct answer: 2. Inferior meatus

Explanation: In proof puncture or antral lavage, the lateral wall of inferior meatus is punctured with Lichtwitz trocar and cannula. This site is selected as bone is very thin here.